Which toxin is not mediated by cAMP
1. V. cholera 01
2. Heat stable E.coli toxin
3. Heat labile E.coli toxin
4. V.cholera 0137

Correct answer: 2. Heat stable E.coli toxin